Incisal guidance can be made flatter by
1. Increasing vertical overlap and increasing horizontal overlap
2. Increasing vertical overlap and decreasing horizontal overlap
3. Decreasing vertical overlap and increasing horizontal overlap
4. Decreasing vertical overlap and decreasing horizontal overlap

Correct answer: 3. Decreasing vertical overlap and increasing horizontal overlap